AV nodal delay is:
1. 0.2 sec
2. 0.13 sec
3. 0.01 sec
4. 0.3 sec

Correct answer: 2. 0.13 sec

Explanation: Velocity of impulses at different parts of conductive system:

Atrial muscle fibers : 0.3 meter/second
Internodal fibers : 1.0 meter/second
AV node : 0.05 meter/second
Bundle of His : 0.12 meter/second
Purkinje fibers : 4.0 meter/second
Ventricular muscle fibers : 0.5 meter/second

Thus, the velocity of impulses is maximum in Purkinje fibers and minimum at AV node.